Muscarinic cholinergic agonists
1. Decrease production of IP 3
2. Activate inhibitory G-proteins (Gi)
3. Decrease release of intracellular calcium
4. Inhibit the activity of phospholipase C

Correct answer: 2. Activate inhibitory G-proteins (Gi)

Explanation: In addition to activating inhibitory G-proteins (Gi), muscarinic cholinergic agonists stimulate the activity of phospholipase C, increase production of IP 3, and increase release of intracellular calcium. Ref:- KD Tripathi